The systolic ejection murmur in hypertrophic obstructive cardiomyopathy is diminished when a patient -
1. Performs the valsalva maneuver
2. Lies down
3. Inhales amyl nitrite
4. Stands up

Correct answer: 2. Lies down